Test for allergic rhinitis -
1. CT Scan
2. X-ray
3. Nasal Smear
4. MRI

Correct answer: 3. Nasal Smear

Explanation: Ans. is 'c' i.e.. Nasal Smear o A nasal smear can sometimes be helpful for establishing the diagnosis of allergic rhinitis.o The presence of eosinophils is consistent with allergic rhinitis.